Which which laser is used in the management of after cataract
1. Argon
2. Krypton
3. Nd-YAG
4. Excimer

Correct answer: 3. Nd-YAG

Explanation: NdYAG is a photo disruptive laser and is used for both posterior capsulotomy and peripheral iridotomy Refer Khurana 6th edition page number 401